True statenent about first order kinetics is
1. Constant amount of drug is eliminated in the unit time
2. The Half Life increases with an increase in the dose
3. Date of elimination is constant
4. Rate of elimination is proportional to rate of Plasma concentration

Correct answer: 4. Rate of elimination is proportional to rate of Plasma concentration

Explanation: The rate of elimination Is proportional to the plasma concentration Drugs may follow zero order or first order knetics depends on the following formula Rate of Elimination alpha, thus, if a drug follows zero order kinetis, (plasma concetration) is equal to one, in other words rate of elimination is independent of plasma concentration or rate of elimination Is constant. from the above formula, rate of elimination is proportional to plasma concentration for the drug folowing first order kinetics. Ref-Goodman and Gillman 12th/p34